Zygote with zona pellucida reaches uterine cavity by :
1. 2 days
2. 4 days
3. 5 days
4. 6 days

Correct answer: 2. 4 days

Explanation: 4 days